A 16-year old boy suffering from drug abuse presents with cross-over of sensory perceptions, such that, sounds can be seen and colors can be heard. Which of the following is the most likely agents responsible for drug abuse-
1. Cocaine
2. LSD
3. Marijuana
4. PCP

Correct answer: 2. LSD

Explanation: Cross-over of sensory perception is termed as `synesthesia' and is typically experienced under the influence of LSD.